Which of the following produces neuropsychiatric symptom?
1. Cycloserine
2. Cyclosporine
3. Cephalosporine
4. Ethambutol

Correct answer: 1. Cycloserine

Explanation: Cycloserine is an antibiotic effective against Mycobacterium tuberculosis. The side effects are mainly central nervous system (CNS) manifestations, i.e. headache, irritability, depression, psychosis and convulsions. Co-administration of pyridoxine can reduce the incidence of some of the CNS side effects (e.g. convulsions).